All regarding HSP is true except
1. Hematuria resolve without treatment
2. Steroids best treat skin lesions
3. Self limiting arthralgia
4. Excellent prognosis

Correct answer: 2. Steroids best treat skin lesions

Explanation: B i.e. Steroids best treat skin lesions Presence of palpable (non-blanching) purpura, mainly involving dependent areas such as buttocks & lower extremities in children & adolescents (along with arthralgia; gastrointestinal bleedin colic abdominal pain, hematuriaQ, and histo pathological demonstration of extra /peri- vascular neutrophil (granulocyte) infiltrates (leukocytoclastic vasculitis)Q with IgA (mostly IgAl subtype) and C3 deposition about small blood vessels in skin, intestine and kidneyQ by immunofluorescence is diagnostic of - Henoch - Schonlein purpura. Meningiococcernia presents with short lived URTI, nausea, headache muscle soreness followed by --+ fever, obtundation, meningitis --> vomiting, stupor, hemorrhagic rash & hypotension. Skin findings include transient macular & papular lesions (resembling viral exanthema) f/b characteristic small, irregular, smudged appearance, asymmetrical petechiae most often on extremities & trunk but can also be on head, palm, sole & mucous membrane Extensive maplike hemorrhagic lesions with central necrosis (suggilations) & bullae can develop. Purpura Fulminans is extensive hemorrhagic necrosis of skin d/ t DIC (disseminated intravascular coagulation). It may be idiopathic (with in 10 days of Scarlet fever or varicella), secondary (in acute sepsis with gram +ve or -ye organism most commonly meningococcemia) or associated with homozygous protein C deficiency.